Temperature for sintering of High fusing ceramic is
1. >2372 degree F
2. >1300 degree F
3. 1101-1300 degree F
4. None of the above

Correct answer: 1. >2372 degree F

Explanation: Classification of Dental Ceramics by Sintering Temperature